Ochronosis is seen in:
1. Alkaptonuria
2. Cystinosis
3. Maple syrup disease
4. Homocystinuria

Correct answer: 1. Alkaptonuria

Explanation: Alkapton deposition occurs in connective tissues, bones and various organs (nose, ear etc.) resulting in ochronosis